Plasmid DNA-Chromosomal DNA combines to form:
1. Mesosome
2. Ribosome
3. Transposon
4. Episome

Correct answer: 4. Episome

Explanation: Ans: D (Episome) Ref: Anonthanarayan, Paniker CJ. Textbook of microbiology. 8th Edition. London: John Wiley & Sons: 2009. Pg. 60. 67Explanation:Plasmid DNA may sometimes be integrated with chromosomal DNA are known as EpisomeTransposonsThey are structurally and genetically discrete segments of DNA that have the ability to move around in a 'cut-and-paste' manner between chromosomal and extrachro moso mal DNA molecules within cells.A transposon is a segment of DNA with one or more genes in the centre, and the two ends carrying 'inverted repeat' sequences of nucleotides-nucleotide sequences comple mentary to each other hut in the reverse order.They are also known as 'jumping genes'.